In treating a fractured clavicle in a 14 month old child, the best procedure is:
1. Open reduction
2. Shoulder cast
3. Figure - of - eight bandage
4. Kirshner pin

Correct answer: 3. Figure - of - eight bandage

Explanation: C i.e. Figure of 8 bandage